In cyanide poisoning, the specimen of blood must be covered with what to avoid evaporation
1. Saturated salt solution
2. Formalin
3. Liquid paraffin
4. Acetone

Correct answer: 3. Liquid paraffin

Explanation: - In cyanide poisoning, the specimen of blood must be covered with liquid paraffin to avoid evaporation. CYANIDE POISONING : - ideal suicidal poison, - Cyanide inhibits cytochrome oxidase (ETC) - Histotoxic anoxia - Managed with Lilly's antidote Vitamin B12 Dicobalt EDTA